lithium was introduced by
1. benedict morel
2. delay and denniker
3. john F Cade
4. bleuler

Correct answer: 3. john F Cade

Explanation: LITHIUM - Lithium was introduced by ==== JOHN F CADE - It is liver friendly drug - It is mainly eliminated by kidney Ref.Kaplon and Sadock, synopsis of psychiatry, 11 th edition, 935